Deep venous thrombosis is caused by all EXCEPT:
1. Lower limb trauma
2. Cushing's syndrome
3. Subungual hematoma
4. Hip & pelvic surgeries

Correct answer: 3. Subungual hematoma

Explanation: Ans. C i.e. Subungual hematoma Deep venous thrombosis Clinical presentation: - Unilateral leg swelling, Local warmth, - Erythema & - Pain Non-invasive test to diagnose DVT: Duplex venous USG Drug used for DVT prophylaxis: Heparin Treatment: - Thrombolytic therapy, - Bandaging etc. Homans sign in DVT: Forced dorsiflexion of foot causes calf pain